A 5-month-old baby (exclusively cow feed) presented to pediatric OPD with history of crying on touch. Cause may be:
1. Scurvy
2. Rickets
3. JRA
4. Caffey's disease

Correct answer: 1. Scurvy

Explanation: Scurvy (Barlow's Disease)--> caused due to the def. of Vit.C, especially in children fed predominantly with heat-treated cow's milk. CLINICAL FEATURES- Gum bleeding Petechiae Irritability Subperiosteal hemorrhage involving long bones- Painful pseudo paralysis , Crying on touch OTHER OPTIONS: Caffey's disease--> bone changes, soft-tissue swelling, and irritability JRA--> joint inflammation & stiffness